Which one of the following is not considered as first rank symptom of schizophrenia ?
1. Auditoiy hallucinations
2. Insertion of thoughts
3. Delusional perceptions
4. Compulsive acts that relieve the tension

Correct answer: 4. Compulsive acts that relieve the tension

Explanation: Ans. is 'd' i.e., Compulsive acts that relieve the tension Schneider's first rank symptomsHallucinations Audible thoughts, voices commenting on one's action, voices heard arguing two or more hallucinatory voices discussing the subject in third person (third person hallucination).Thought attention phenomena Thought insertion, thought withdrawal, thought broadcasting.Passivity' phenomena Made feeling (affect), made impulse, mode volition (acts), somatic passivity.Delusional perceptions (Primary delusions).